A male was brought unconscious with external injuries. CT brain showed no midline shift, but basal cistern were compressed with multiple small hemorrhages. Diagnosis is:
1. Cerebral contusion
2. Cerebral laceration
3. Multiple infarcts
4. Diffuse axonal injuries

Correct answer: 4. Diffuse axonal injuries

Explanation: Ans. Diffuse axonal injuries